Short gastric artery is a branch of?
1. Splenic artery
2. Left gastroduodenal artery
3. Left gastroepiploic artery
4. Portal vein

Correct answer: 1. Splenic artery

Explanation: ANSWER: (A) Splenic arteryREF: Gray's anatomy 39th ed page 1146The short gastric arteries consist of from five to seven small branches, which arise from the end of the splenic artery, and from its terminal divisions. They pass from left to right, between the layers of the gastrolienal ligament, and are distributed to the greater curvature of the stomach, anastomosing with branches of the left gastric and left gastroepiploic arteries.The splenic artery gives origin to the short gastric arteries as well as the left gastroepiploic artery and may occasionally give origin to a posterior gastric artery.